Disinfecting action of chlorine is due to:
1. Hypochlorous acid
2. Hypochlorite ion
3. Hypochloric acid
4. Chloride radical

Correct answer: 1. Hypochlorous acid

Explanation: Hypochlorous acid